Double bubble sign is a radiological feature of:
1. Pyloric stenosis
2. Duodenal atresia
3. Hirschsprung's disease
4. Necrotising enterocolitis

Correct answer: 2. Duodenal atresia

Explanation: Ans. Duodenal atresia